Which of the following malignancies are not associated with Trousseau's syndrome?
1. Ca pancreas
2. Ca lung
3. Ca stomach
4. Liposarcoma

Correct answer: 4. Liposarcoma

Explanation: Trousseau syndrome refers to the presence of migratory deep vein thrombophlebitis which occur due to the release of platelet aggregating factors and procoagulants from the tumor or its necrotic products. Malignancies associated with this syndrome are carcinoma of pancreas, lung, stomach, colon or ovary.